The role of bradykinin in process of inflammation is:
1. Vasoconstriction
2. Bronchodilation
3. Smooth muscle relaxation
4. Increased vascular permeability

Correct answer: 4. Increased vascular permeability

Explanation: Functions of Bradykinin: 1. Increases vascular permeability 2. Contraction of smooth muscles 3. Dilation of the blood vessels 4. Pain when injected into the skin Out of these actions of bradykinin, the increase in vessel permeability is a better answer as it is the hallmark of acute inflammation.